60 years old man with foul breath, Regurgitates food eaten 3 days ago, the likely diagnosis
1. Loss of tone of upper esophageal sphincter
2. Zenker's Diverticulum
3. Achalasia cardia
4. Carcinoma esophagus

Correct answer: 2. Zenker's Diverticulum